Which of the following is a wrong association ?
1. HPV - CaCx
2. EBV - Burkitt's lymphoma
3. HHV 8 - Kaposi sarcoma
4. CMV - Nasopharyngeal carcinoma

Correct answer: 4. CMV - Nasopharyngeal carcinoma

Explanation: Ans. is 'd' i.e., CMV-Nasopharyngeal carcinoma